Treatment of acute femoral embolus is-
1. Warfarin
2. Heparin
3. Immediate embolectomy
4. Embolectomy after 5 days bed rest

Correct answer: 3. Immediate embolectomy